During phagocytosis, the metabolic process called respiratory bubrst involves the activation of
1. Oxidase
2. Hydrolase
3. Peroxidase
4. Dehydrogenase

Correct answer: 1. Oxidase

Explanation: Phagocytosis: Phagocytosis (Greek word-Phagein-to eat) is the engulfment of large particles like viruses, bacteria, cells, or debris by macrophages and granulocytes. They extend pseudopodia and surround the particles to form phagosomes which later fuse with lysosomes to form Phagolysosomes in which the particles are digested. Biochemical mechanism is called respiratory burst, in which O2 consumption is increased and lead to formation of superoxide ion O2-. Superoxide anion O2- is converted to H2O2 and other free radicals OH* and OCl-, etc. which are potent microbial agent. O2- + O2- + 2H+ - H2O2 + O2 The electron transport chain system responsible for the "respiratory burst" is "NADPH oxidase". In resting phagocyte it is in an inactive form, consisting of cytochrome b 558 + two polypeptides (heterodimer). The NADPH oxidase system is activated by recruitment in plasma membrane by two more cytoplasmic polypeptides. Thus: 2 Cytoplasmic polypeptides Cytb558 + 2 Polypeptides _______________________ Cytb588 (Inactive NADPH oxidase) + 4 Polypeptides (Active NADPH oxidase) NADPH oxidase is activated upon contact with various ligands like complement fragment C5a, chemotactic peptides, etc. Events resulting in activation of the NADPH oxidase system involve G proteins, activation of phospholipase C and generation of inositol-1, 4, 5-triphosphate (P3). The P3 mediates a transient increase in the level of cytosolic Ca++, which is essential for the induction of the respiratory burst. Killing of bacteria within phagolysosomes appears to depend on the combined action of elevated pH, superoxide ions or other "free radicals" like H2O2, OH*, and HOCl (hypochlorous acid) and on the action of certain bactericidal peptides, called defensins and other proteins, e.g. cathepsin G and certain cationic proteins present in phagocytic cells. Macrophages are extremely active and may ingest 25 percent of their volume per hour. In such a process, a macrophage may internalize 3 percent of its plasma membrane each minute or the entire membrane every 1/2 hour.Ref: MN Chatterjea Textbook of Medical Biochemistry, 8th edition, page no: 18